Lipotropic factor are all except
1. Choline
2. Lecithin
3. Arginine
4. Methionine

Correct answer: 3. Arginine

Explanation: Arginine

Lipotropic factors are substances which prevent the accumulation of fat (TGs) in the liver.
Primary lipotropic factors → choline, betaine, methionine, lecithin, inositol.
Other factors with some lipotropic action:- Vitamin-B12, folic acid, casein, glycine, essential fatty acids, selenium, vitamin E and serine.